Nagayama spot are seen in:
1. Measles
2. Roseola infantum
3. Mumps
4. Rubella

Correct answer: 2. Roseola infantum

Explanation: b. Roseola infantum(Ref: Nelson 20/e p 1594-1596)Ulcers at uvulopalatoglossal junction (Nagayama spots) are commonly reported in infants with roseola infantum. High fever is the most consistent finding associated with primary HHV-6B infection.